Mandibular movement resulting from occlusal contacts of the teeth from retruded contact position (CRC) to intercuspal position (slide in centric) may show all except one of the following directional components when viewed only in the horizontal plane. Which is the exception?
1. Vertical component.
2. Horizontal component.
3. Lateral component.
4. Protrusive component.

Correct answer: 1. Vertical component.

Explanation: Vertical component not seen on horizontal tracing.